The genes involved in CA stomach are all except
1. Supression of p53 gene
2. C-kit mutation
3. APC gene
4. k-ras mutation

Correct answer: 2. C-kit mutation

Explanation: Ans. is B C-kit mutationRisk factors for gastric carcinomaA) Environmental factors : H. Pylori infection, dietary factors (nitrites/nitrate, smoked and salted foods, lack of fresh fruits/vegetables, deficiency of vitamin C & E), cigarette smoking, and low socioeconomic status.B) Host factors : Chronic gastritis (causing hypochlorhydria or intestinal metaplasia), partial gastrectomy, gastric adenoma, Barrett's esophagus, and Menetrier disease.Intestinal metaplasia is the most significant precursor lesion for Gastric cancer.C) Genetic factors : Blood group A, Hereditary nonpolyposis colon cancer syndrome (HNPCC) and Familial gastric cancer syndrome (E-cadherin mutation). Genes and genetic alterations involved in gastric carcinoma arei) Intestinal type gastric cancer: K-ras mutation, APC mutation, pS2 methylation, HMLH1 methylation, p16lNK4a methylation, p 73 deletion and C-erb B-2 amplification.ii) Diffuse type gastric caner: CDH1 gene (E-Cadherin) mutation, K-sam amplification.iii) For both type: Telomerase reduction (telomerase shortening), hTERT expression, genetic instability, overexpressionof the cyclin E & CDC25B & E2F1 genes,p53 mutations, reduced expression, CD44 aberrabont transcripts, and amplification of the C-met & Cyclin E genes.Decreased risk of stomch cancer is seen witho Vitamine C & Eo Aspirino Diet high in green leafy vegetables and citrus fruitso Beta - Carotene